The following statements are true regarding leptospirosis, except -
1. It is zoonosis
2. Man is the dead end host
3. Man is an accidental host
4. Lice acts as reservoirs of infection

Correct answer: 4. Lice acts as reservoirs of infection

Explanation: Rats and small rodents- particularly R.norvegicus and Mus musculoskeletal are the most important vectors. Reference:Park's textbook of preventive and social medicine,K.Park,23rd edition,page no:292.